All of teh following statements about parvovirus B-19 are true, except-
1. <10% spread by transplacental route
2. Respiratory route is the primary mode of transmission
3. It is a DNA virus
4. Affects erythroid progenitors

Correct answer: 1. <10% spread by transplacental route

Explanation: parvo virud is ssDNA virus.transmission is through respiratory route.genus is erythro virus REF:ANATHANARAYANAN MICROBIOLOGY NINTH EDITION PAGE.554